Gallow's traction is used for:
1. Fracture shaft femur
2. Fracture shaft humerus
3. Fracture ulna
4. Spine injury

Correct answer: 1. Fracture shaft femur

Explanation: -Gallows traction for fracture shaft of femur in less than 2 years of age -Tractions used for other fractures: Fracture shaft of humerus: sugar tong Spine injury: head halter traction, crutchfield traction